Burkitt's Lymphoma commonly affects
1. Jaw
2. Stomach
3. Spleen
4. kidneys

Correct answer: 1. Jaw

Explanation: Burkitt's Lymphoma is common in Jaw.